Life-saver shaped enlargements of the marginal gingival
are called
1. Gingival crater
2. McCall festoons
3. Stillman's cleft
4. Window peaks

Correct answer: 2. McCall festoons